Which of the following can be given in hepatic as well as in renal failure –
1. Atracurium
2. Vecuronium
3. Pancuronium
4. Mivacurium

Correct answer: 1. Atracurium